Epithelium of the inner surface of the gingival sulcus:
1. Has no rete pegs
2. Has prominent rete pegs
3. Is keratinized
4. Is para-keratinized

Correct answer: 1. Has no rete pegs